Cholecyto-caval line separates
1. Gall bladder & IVC
2. Porta hepatis & IVC
3. Right & left lobe
4. Quadrate & Caudate lobe of liver

Correct answer: 3. Right & left lobe

Explanation: Answer-C. Right & left lobeCholecystocaval or cholecysto-vena caval line divides liver into right and left physiological lobes.Physiological right and left lobes are equally divided by an imaginary line (cholecysto-vena caval line) running from fossa for gall bladder to the groove for IVC. The physiological right and left lobes have separate biliary drainage and vascular supply, i.e. they are superior respectively by right and left branches of portal vein and hepatic artery and bile is conveyed by the corresponding hepatic ducts (bile ducts ).